The function of glucose in ORS –
1. Increase Na+ absorption by co–transport
2. Gives sweet taste of ORS
3. Increase Na+–K+ pump activity
4. All of the above

Correct answer: 1. Increase Na+ absorption by co–transport